Highest point of iliac crest is seen at;
1. L3
2. L4
3. S1
4. S2

Correct answer: 2. L4

Explanation: Highest point of iliac crest lies at the level of the 4th lumbar vertebral body (L4). Clinical significance: Site of bone marrow harvests to collect the stem cells used in bone marrow transplantation. Most ideal donor site forbone grafting when a large quantity of bone is needed. To estimate site for lumbar puncture as LP is done at the level b/w L3-L4 or b/w L4-L5 and highest point of iliac crest coincides with it.